Pulse oxymetry detects inaccurately in presence of – a) Hyperbilirubinemiab) Nail polishc) Methemoglobinemiad) Skin pigmentation
1. abc
2. bcd
3. ac
4. bd

Correct answer: 2. bcd

Explanation: Inaccurate reading in pulse oximeter can be caused by carboxyhaemoglobinemia, methaemoglobinemia, anaemia, poor peripheral pulsation, hypovolemia & vasoconstriction, vasodilatation, nail polish, shivering, skin pigmentation, and SpO2 below 60%.